Criteria included in AIDS surveillance definition include -a) Extrapulmonary TB b) Cryptococcosisc)  Candidiasisd)  Leptospirosis e)  Kaposi sarcoma
1. bcde
2. abce
3. acde
4. abde

Correct answer: 2. abce